Type of joint TMJ has:
1. Condylar
2. Diarthrodal
3. Ginglymo-arthroidal joint
4. All of the above

Correct answer: 4. All of the above

Explanation: TMJ is condylar or diarthrodal or ginglymo-arthroidal joint as it has both hinge and sliding movements.